Allosteric stimulator of glycogen phosphorylase
1. ATP
2. AMP
3. Insulin
4. Glucose-6-phosphate

Correct answer: 2. AMP

Explanation: AMP formed by degradation of ATP during muscle contraction is an allosteric activator of phosphorylase b. The calcium binds calmodulin and the complex activates phosphorylase kinase.Ref: DM Vasudevan, 7th edition, page no: 129